The vitamin which has inhibitory effect on wound healing is
1. Vitamin - A
2. Vitamin - E
3. Vitamin - C
4. Vitamin - B - complex

Correct answer: 2. Vitamin - E

Explanation: Vitamin E has lysosomal stabilizing property, which gives anti-inflammatory effects along with decreasing collagen synthesis. This is hypothesized to have inhibitory effect on wound healing (not proven in quality studies, level of evidence is low) This principle is used to prevent scars (again no much success)